Which structures are preserved in Scanlon’s modified radical mastectomy ?
1. Lateral pectoral nerves
2. Level II nodes in the axilla
3. Pectoral fascia
4. Nipple and the areola

Correct answer: 1. Lateral pectoral nerves

Explanation: Modified Radical Mastoidectomy (MRM) : 2 types –
Auchincloss MRM : Both pectoralis major and minor are preserved with removal of level I and II axillary nodes only.
Patey’s MRM : Pectoralis minor is removed with complete axillary clearance of nodes up to level III. - Scanlon’s modification of Patey’s MRM : Instead of removing pectoralis minor, the muscle is just divided to that level 3 nodes can be removed.